Regarding laryngomalacia all of the following are true except
1. Stridor worsens on lying in prone position
2. Omega-shaped epiglottis
3. Inspiratory stridor
4. Most common congenital anomaly of the larynx

Correct answer: 1. Stridor worsens on lying in prone position

Explanation: Laryngomalacia (congenital laryngeal stridor) It is the most common congenital abnormality of the larynx. It is characterized by excessive flaccidity of supraglottic larynx which is sucked in during inspiration producing stridor and Sometimes cyanosis. Stridor is increased on crying but subsides on placing the child in prone position; cry is normal. The condition manifests at birth or soon after, and usually disappears by 2 years of age. Investigations:- Direct laryngoscopy shows elongated epiglottis, curled upon itself (omega-shaped O), floppy aryepiglottic folds and prominent arytenoids. Flexible laryngoscope is very useful to make the diagnosis. Treatment:- Mostly, treatment is conservative. Tracheostomy may be required for some cases of severe respiratory obstruction. Supraglottoplasty is required in cases of severe laryngomalacia. Ref:- Dhingra; pg num:-295